Burning sensation of the tongue is called:
1. Glossopyrosis
2. Glossodynia
3. Glossitis
4. Glossolgia

Correct answer: 1. Glossopyrosis